A 20-year-old woman gives a history of sharp pain in the lower abdomen for 2-3 days every month approximately 2 weeks before the menses. The most probable etiology for her pain is:
1. Endometriosis
2. Dysmenorrhea
3. Pelvic tuberculosis
4. Mittelschmerz syndrome

Correct answer: 4. Mittelschmerz syndrome

Explanation: Ans. is d, i.e. Mittelschmerz syndromeRef: Dutta Gynae 4th/ed, p172, 5th/ed, p178* A female giving history of sharp pain in lower abdomen, every month, 2 weeks before the menstruation suggests mittelschmerz as the diagnosis.* Mittelschmerz is synonymous to painful ovulation. Pain is associated with rupture of ovarian follicle at the time of ovulation.